Which of the following amino acid is excreted in urine in maple syrup urine disease
1. Tryptophan
2. Phenylalanine
3. Leucine
4. Arginine

Correct answer: 3. Leucine

Explanation: In maple syrup urine disease there is the excretion of branched chain amino acids (isoleucine, leucine, valine) and their keto acids (α -keto β-methyl valerate, α-ketoisocaproate, α-ketoisovalerate) in the urine.